Autosomal recessive polycystic kidney disease is characterised by the altered expression of:
1. Polycystin
2. Nephrocystin
3. Uromodulin
4. Fibrocystin

Correct answer: 4. Fibrocystin

Explanation: Fibrocystin (polyductin) gene mutation is seen in autosomal recessive polycystic kidney disease. Note: Polycystin mutation is associated with autosomal dominant polycystic kidney disease. Nephrocystin is related to nephronophthisis. Uromodulin mutation is seen in medullary cystic kidney disease. Ref: Harrisons principles of internal medicine, 18th edition, Page: 2356.